A 24 year old medical student received booster dose of hepatitis B vaccination, following which she developed weakness in abduction and lateral rotation of arm. The lesion is most likely to be in which of the following nerve
1. Surgeon's nerve
2. Musician's nerve
3. Nerve of Bell
4. Labourer's nerve

Correct answer: 1. Surgeon's nerve

Explanation: Axillary nerve is called as Surgeon's nerve. Axillary nerve injury occur due to Fracture of surgical neck of humerus Inferior dislocation of humerus Inadvertent IM injection Ref : Gray's Anatomy The Anatomical Basics of Clinical Practice 41 e pg 831.